EBV enters B-cells through?
1. CD-1
2. CD-2
3. CD-21
4. CD-19

Correct answer: 3. CD-21

Explanation: Ans. is 'c' i.e., CD-21 The virus enter the pharyngeal epithelial cells and B cells through (CR 2 / or CD21) receptors.